Right side of mediastinum shadow is not formed by:
1. Superior venacava
2. Right innominates
3. Right atrium
4. Right ventricle

Correct answer: 4. Right ventricle

Explanation: D i.e. Right ventricle